To examine the vaginal cells in the rape accused, the test used is
1. Lugol's iodine test
2. Takayama test
3. Florence test
4. Precipitin test

Correct answer: 1. Lugol's iodine test

Explanation: Lugol's iodine test is to detect vaginal epithelial cells containing glycogen. Takayama test is to detect blood stains; while Florence test is test for seminal stain.